The wrong statement about psychoanalysis is -
1. Parapraxes has meaning
2. Transference is patient's feeling for therapist
3. Counter transference is clinican's feeling for patient
4. Unguided communication has no meaning

Correct answer: 4. Unguided communication has no meaning

Explanation: In psychoanalysis the patient is allowed to communicate unguided, by using free association. About other options
Transference is unconscious transfer of patient's feelings from a person in the past to therapist, i.e. patient's feelings for therapist.
Countertransference is a therapist's feelings for a patient.
All mental activity is meaningful and purposeful, though unconscious, and is linked with previous life experiences. Parapraxes is slip of tongue where patient reveals his unconscious wishes or feelings.